Most common cause of upper GI bleed -
1. Esophageal varices
2. Erosive gastritis
3. Peptic ulcer disease
4. Trauma

Correct answer: 3. Peptic ulcer disease

Explanation: Ans. is 'c' i.e., Peptic ulcer disease o Upper G1 bleed refers to GI bleed refers to GI bleed occuringproximal to the ligament ofTreitz (.Ligament ofTreitz is a fibromuscular band extending from the right crus of diaphragm to the duodeno-jejunal flexure)Causes of upper GI bleed (in descending order)o Peptic ulcery Duodenal ulcersy Gastric ulcerso Oesophageal variceso Gastritis, erosionso Mallory-Wess terso Uncommon causesy Gastric carcinomay Esophagitis y Pancreatitisy Hemobiliay Vascular lesions